Eye is deviated laterally and downwards; patient is unable to look up or medially; likely nerve involved is:
1. Trochlear
2. Trigeminal
3. Oculomotor
4. Abducent

Correct answer: 3. Oculomotor

Explanation: C i.e. Occulomotor